In a patient with head injury black eye associated with subconjunctival haemorrhage occurs when there is ?
1. Fracture of floor and anterior cranial fossa
2. Bleeding between the skin and galea aponeurotica
3. Haemorrhage between galea aponeurotica and pericranium
4. Fracture of greater wing of sphenoid bone

Correct answer: 1. Fracture of floor and anterior cranial fossa

Explanation: Ans. is 'a' i.e., Fracture of floor of anterior cranial fossa